In laminar flow, if diameter is reduced to half ?
1. Blood flow increases four fold
2. Blood flow decreases four fold
3. Blood flow increases sixteen-fold
4. Blood flow decreases sixteen-fold

Correct answer: 4. Blood flow decreases sixteen-fold

Explanation: Ans. is 'd' i.e., Blood flow decreases sixteen-foldIf everything else remains constant, blood flow is direactly poroportional to 4th power of radius.Thus, if the diameter (or radius) is reduced to half, blood flow will decrease sixteen-fold.